A 2-day-old newborn male develops mild cyanosis. An ultrasound examination reveals a patent ductus arteriosus. Which of the following infections will most likely lead to this congenital anomaly?
1. Toxoplasmosis
2. Rubella
3. Cytomegalovirus
4. Varicella virus

Correct answer: 2. Rubella

Explanation: Congenital heart defects are common problems that can be caused by teratogens, such as the rubella virus, or single-gene factors or chromosomal abnormalities.